In DIC, which is/are seen-
1. NormalAPTT
2. Increased PT
3. Increased factor VIII
4. Decreased FDPs

Correct answer: 2. Increased PT

Explanation: All the prothrombin time,thrombin time and activated partial thromboplastin time are prolonged in DIC. References: textbook of Pathology Seventh edition Author : Harsh Mohan Page no.317 Ref Robbins 9/e pg 452